Under ICDS, caloric supplement for pregnant women-
1. 200 calories
2. 300 calories
3. 400 calories
4. 600 calories

Correct answer: 4. 600 calories

Explanation: Ans- D Ref- Supplementary Nutrition Programme The Supplementary Nutrition is one of the six services provided under the Integrated Child Development Services (ICDS) Scheme which is primarily designed to bridge the gap between the Recommended Dietary Allowance (FDA) and the Average Daily Intake (ADI). Supplementary Nutrition is given to the children (6 months - 6 years) and pregnant and lactating mothers under the ICDS Scheme. The Government of India, on 24.2.2009, has issued revised guidelines on nutritional and feeding norms. States/UTs have been requested to provide supplementary nutrition to children below six years of age and pregnant and lactating mothers, in accordance with the guidelines which have been endorsed by the Hon'ble Supreme Court vide its Order dated 22.4.2009. The provision of supplementary nutrition under ICDS Scheme prescribed for various categories of beneficiaries is as follows: (i) Children in the age group of 6 months to 3 years: Food supplement of 500 calories of energy and 12-15 gms. of Protein per child per day as Take Home Ration (THR) in the form of Micronutrient Fortified Food and/or energy-dense food marked as 'ICDS Food Supplement'. (ii) Children in the age group of 3-6 years: Food supplement of 500 calories of energy and 12-15 gms of Protein per child per day. Since a child of this age group is not capable of consuming of meal of 500 calories in one sitting, the guidelines prescribed provision of morning snack in the form of milk/banana/seasonal fruits/Micronutrient Fortified Food etc. and a Hot Cooked Meal. (iii) Severely underweight children: Food supplement of 800 calories of energy and 20-25 gms of Protein per child per day in the form of Micronutrient fortified and/or energy dense food as Take Home Ration. (iv) Pregnant Women and Lactating Mothers: Food supplement of 600 calories of energy and 18-20 gms of Protein per day in the form of Micronutrient Fortified Food and/or energy dense food as Take Home Ration. The revised feeding and cost norms under Supplementary Nutrition Progarmme are as under: Sl. No. Category Revised feeding & nutritional norms (per beneficiary per day Revised cost norms (per beneficiary per day) Calories (K Cal) Protein (g) 1. Children (6-72 months) 500 12-15 Rs.4.00 2. Severely malnourished children (6-72 months) 800 20-25 Rs.6.00 3. Pregnant women and Nursing mothers 600 18-20 Rs.5.00 Under the Strengthened and Restructured ICDS, these rates have been revised to Rs.6.00, Rs.9.00 and Rs.7.00 per beneficiary per day for children (6-72 months), severely malnourished children (6-72 months) and pregnant women and Nursing mothers, respectively. The revised rates are to follow the phased implementation over the 3 years of the Strengthened and Restructured ICDS on the existing cost sharing ratio of 50:50 between the Centre and the States other than NER where it will continue to be on 90:10 basis, as under: (i) In 200 high burden districts in the first year (2012-13); (ii) In additional 200 districts in second year (2013-14) (i.e. w.e.f. 1.4.2013) including districts from special category States and NER; (iii) In remaining districts in third year (2014-15) (i.e. w.e.f. 1.4.2014).